Which of the following is not used in diagnosis of insulinoma -
1. 72 hours fasting blood glucose levels
2. C peptide levels
3. Insulin/glucose ratio
4. D-xylose test

Correct answer: 4. D-xylose test